Parachute reflex disappear at -
1. 3 months
2. 6 months
3. 9 months
4. Never

Correct answer: 4. Never

Explanation: Ans. is 'd' i.e., Never Important primitive reflexes Reflex Age of appearance Age of disappearance (after birth) o Rooting o Moro o Palmar grasp o Assymmetic tonic neck o Symmetric tonic neck o Landau o Parachute o Crossed extensor 32 wks of gestation 28-32 wks of gestation 28 wks of gestation 35 wks of gestation 4-6 months 10 months 8-9 months 28 wks of gestation Less prominent after 1 month 3-6 months 2-3 months 6-7 months 8-12 months 24 months remain throughout life 1-2 months Remember : Earliest reflex to disappear Rooting reflex. Age of appearance